Koenon tumor is seen in -
1. NF
2. Tuberous sclerosis
3. Turners syndrome
4. Sturg weber syndrome

Correct answer: 2. Tuberous sclerosis

Explanation: Koenen tumors are a pathognomic feature and one of the major Gomez criteria of tuberous sclerosis complex (TSC), and usually appear after puberty in up to 50% of patients with TSC.Tuberous sclerosis complex, the preferred name for the condition previously known as tuberous sclerosis, is an autosomal dominant genodermatosis, classically presenting as facial angiofibromas, shagreen patch, periungual fibromas, and ash-leaf white macules. Koenen tumors are characterized by fibrosis with stellate shaped strands of fibroblasts and dense collagen with numerous ectatic blood vessels. so answer is option 2. tuberous sclerosis. source :